Iron is actively absorbed in :
1. Stomach
2. Duodenum and proximal jejunum
3. Large intestine
4. Ileum

Correct answer: 2. Duodenum and proximal jejunum

Explanation: Ans. is 'b' i.e. Duodenum and proximal jejunum Harrison writes - "Iron absorption takes place largely in the proximal small intestine ".Ganong writes - "Almost all iron absorption occurs in the duodenum".Robbins writes - "Most iron is absorbed in the duodenumGhai writes - "Iron is absorbed from the duodenum and upper jejunum ".